The relationship of the denture base that resists dislodgement of denture in horizontal direction is:
1. Stability
2. Pressure
3. Support
4. Retention

Correct answer: 1. Stability